Amount of glucose absorbed in proximal convoluted tubule:
1. 100%
2. 0%
3. 60%
4. 50%

Correct answer: 1. 100%